Vitamin K is involved in the post-translational modification of?
1. Glutamate
2. Aspartate
3. Glycine
4. GABA

Correct answer: 1. Glutamate

Explanation: Ans. (A) Glutamate(Ref Katzung 11/e p595)Vitamin K causes gamma carboxylation of glumate residues in many clotting factors that result in their activation.